Which of the following is the most highly innervated structure of eye
1. Iris
2. Cornea
3. Retina
4. Sclera

Correct answer: 2. Cornea

Explanation: Cornea- The highest innervated structure of the eye Anatomy of cornea: Transparent Avascular structure Refractive power - 45 D Refractive index - 1.37 Thickness (least in centre) (r) 530-550 mm Diameter: 10.5-12.5 mm. Vertical diameter < Horizontal diameter. Nerve Supply Most innervated organ of body. Corneal nerves are non myelinated after 2 cm after entering cornea. Branches of Long ciliary nerves that are branches of nasociliary nerves supply it.